Which of the following carries the least risk of Colonic malignancy
1. Familial adenomatous polyposis
2. Gardner's syndrome
3. Villous adenoma
4. Peutz-Jeghers syndrome

Correct answer: 4. Peutz-Jeghers syndrome

Explanation: PEUTZ-JEGHER’S POLYP

It is common in the small intestine (jejunum) but can also occur in the large intestine.
Features are multiple, familial, hamartomatous intestinal polyps.
Associated with melanosis of the oral mucosa, lips  (lower lip) and occasionally digits (not in tongue).
Microscopically it contains tree-like branching filaments of mucosa with smooth muscle wall.
It can occasionally turn into malignancy.